All are first generation cephalosporins except :
1. Cefadroxil
2. Cefazolin
3. Cephalexin
4. Cefaclor

Correct answer: 4. Cefaclor